Which one of the following statements about mechanism of action of Metformin is true?
1. Stimulate glycogenolysis
2. Stimulate hepatic gluconeogenesis
3. Enhance glucose uptake by skeletal muscle
4. Release insulin from beta cells of pancreas

Correct answer: 3. Enhance glucose uptake by skeletal muscle

Explanation: Metformin decrease blood glucose by activating AMPK (Adenosine Mono Phosphate-activated protein Kinase) that helps in Decreasing production by - Inhibiting gluconeogenesis - inhibiting glycogenolysis Increasing utilization by -Stimulation of glycolysis -Uptake of glucose by muscles and fat.